Most common ophthalmic manifestation of raised intracranial tension is -
1. Optic neuritis
2. Papilloedema
3. Cranial nerve palsy
4. Glaucoma

Correct answer: 2. Papilloedema

Explanation: Ans. is 'b' i.e., Papilloedema o Has been explained in previous sessions.